Boundaries of ischiorectal fossa are
1. Posterior : Perineal membrane
2. Anterior : Sacrotuberous ligament
3. Lateral : Obturator internus
4. Medial : Gluteus maximus

Correct answer: 3. Lateral : Obturator internus

Explanation: The boundaries of ischiorectal fossa: floor: deep transverse perineal fascia. medial wall: external anal sphincters/anal canal; levator ani muscle. lateral wall: ischial tuberosity; obturator internus muscle; obturator fascia. apex: intersection of levator ani and obturator internus muscle ref - BDC vol2 pg415, researchgate.net